A person is said to killed by road traffic accident if he dies within how many days of accident?
1. 12 days
2. 30 days
3. 40 days
4. 47 days

Correct answer: 2. 30 days

Explanation: ROAD FATALITY After 2005, person who died within 30 days of a road crash Before 2005, fatalities were counted within 6 days. For international comparisions, a correction factor of 1.069 is applied for the years before 2005. Ref: Road safety Annual Report 2017 Pgno: 12